To call it as fast breathing in a child of 6 months of age, the respiratory rate should be more than
1. 30
2. 40
3. 50
4. 60

Correct answer: 3. 50

Explanation: Fast breathing :- * 60 per min or more in a child less than 2 months of age * 50 per min or more in a child aged 2 months to 12 months * 40 per min or more in a child aged 12 months up to 5 years Ref:- K Park, 24th ed; pg num:- 180